Disulfiram is used to treat -
1. Opioid dependence
2. Alcohol dependence
3. Cocaine dependence
4. Amphetamine dependence

Correct answer: 2. Alcohol dependence

Explanation: Ans. is 'b' i.e. Alcohol dependence Treatment of alcohol dependenceo Detoxification (treatment of withdrawal):- BZDs are the drugs of choice, e.g. chlordiazepoxide (1st choice), Diazepam (2nd choice).o Maintenance after detoxification (to prevent relapse and maintenance of abstinence):-a) Aversive agents (deferent agents):- Disulfiram, CCC, metronidazole, Natrafezole.b) Anticraving agent;- Naltrexone, Acamprosate, fluoxetine, Topiramate, Nalmefeneo Naltrexone is the preferred agent for maintenance of abstinence.